A patient who was given primaquine develops dark coloured urine one day after administration of the drug. The likely diagnosis is -
1. Glucose-6-phosphate dehydrogenase deficiency
2. Glucose-6-phosphate deficiency
3. Galactose-6-phosphate dehydrogenase deficiency
4. Galactose-6-phosphataase deficiency

Correct answer: 1. Glucose-6-phosphate dehydrogenase deficiency

Explanation: Ans. is 'a' i.e., Glucose-6-phosphate dehydrogenase deficiency o Development of dark coloured urine within one day of administration of primaquine suggests the possibility of intravascular hemolysis and hemoglobinuria. Primaquine can cause hemolysis in patients with G6PD deficiency.